Syndrome which is associated with increased risk of leukaemia:
1. Plummer Vinson syndrome
2. Klienfelter syndrome
3. Sturge webber syndrome
4. Multiple Hamartoma

Correct answer: 2. Klienfelter syndrome

Explanation: Association of Klinefelter syndrome Breast cancer Extragonadal germ cell tumors Autoimmune diseases (SLE) Acute leukaemia.